Epithelial lining of the Tonsil is
1. Cuboidal
2. Squamous epithelium without Keratinisation
3. Squamous epithelium with Keratinisation
4. Columnar

Correct answer: 2. Squamous epithelium without Keratinisation

Explanation: INDERBIR SINGH'S TEXTBOOK OF HUMAN HISTOLOGY-PAGE NO:144The palatine tonsils Each palatine tonsils consists of diffuse lymphoid tissue in which lymphatic nodules are present. the lymphoid tissue is covered by stratified squamous epithelium continuous with that of the mouth and pharynx